Sex reassignment surgery is done in -
1. Gender identity disorder
2. Premature ejaculation
3. Erectile dysfunction
4. Orgasmic dysfunction

Correct answer: 1. Gender identity disorder

Explanation: Ans is 'a' i.e. Gender identity disorder "Many persons with gender identity disorder have sought sex-reassignment surgery, that is, physical change that is constant with their cross sexual identity." - encyclopedia of relationships across the life span p.191